X-rays were discovered in the year:
1. 1892
2. 1895
3. 1896
4. 1890

Correct answer: 2. 1895

Explanation: X-rays were discovered on 8th November, 1895.